Drug–induced colitis is most frequently associated with :
1. Neomycin
2. Vancomycin
3. Clindamycin
4. Chloramphenicol

Correct answer: 3. Clindamycin